Primary sclerosing cholangitis is likely to be associated with
1. Adenocarcinoma of pancreas
2. Cholangiocarcinoma
3. Hepatocellular carcinoma
4. Adenocarcinoma of gallbladder

Correct answer: 2. Cholangiocarcinoma

Explanation: Diseases associated with PSC Chronic ulcerative colitis. Crohn's disease Autoimmune hepatitis Chronic pancreatitis Hypereosinophilia Riedel's thyroiditis Celiac disease Auto immune hemolytic anemia Sicca syndrome Sarcoidosis Glomerulonephritis Retro peritoneal fibrosis Systemic sclerosis Ref: Sabiston 20th edition Pgno : 1508-1509